The use of combined OCP's is associated with an increased incidence of:
1. Bacterial vaginosis
2. Chlamydial endocervicitis
3. Vaginal warts
4. Genital herpes

Correct answer: 2. Chlamydial endocervicitis